Finding on histopathological examination in liver in case of malaria is :
1. Microabscess formation
2. Kupffer's cell hyperplasia with macrophage infiltration around periportal area laden with pigments.
3. Non caseating granuloma
4. Non specific finding of neutrophilic infiltratio

Correct answer: 2. Kupffer's cell hyperplasia with macrophage infiltration around periportal area laden with pigments.

Explanation: Ans. is 'b' i.e. Kupffer's cell hyperplasia with macrophage infiltration around periportal area laden with pigments * In severe infections with plasmodium falciparum, the vital organs are packed with erythrocytes containing mature form of the parasite.* There is abundant intra and extraerythrocytic pigment and organs such as liver, spleen and placenta may be grey black in colour.Also know * Durck's granuloma are pathognomic of malignant cerebral malaria.Histopathological features in liver due to falciparum malariaReticuloendothelial cell proliferation i.e., Kupffer cell hyperplasia.Malarial pigmentation i.e., haemoglobin pigmentation.CongestionPortal infiltration of the macrophageSinusoidal infiltration and sinusoidal dilatationCholestasisNuclear vacuolationLiver cell necrosisFatty changeBallooning of hepatocytesVacuolated cytoplasm's